Drugs that consistently reduce the potassium repolarising current and thereby prolong the action potential duration include all of the following except:
1. Amiodarone
2. Lignocaine
3. Quinidine
4. Sotalol

Correct answer: 2. Lignocaine